Which of the following statements best describes a hapten?
1. Haptens activate T cells
2. Penicillin is a hapten
3. Haptens do not react with specific antibody
4. Haptens bind the major histocompatibility complex

Correct answer: 2. Penicillin is a hapten

Explanation: Haptens react with antibodies but they are not immunogenic. They do not activate T cells and cannot bind the major histocompatibility complex. Penicillin is a hapten and can cause severe life threatening allergic reaction.